Cavitatory lesions in lung are seen in which of the following infections?
1. Primary pulmonary Tuberculosis
2. Staphylococcal pneumonia
3. Pneumoconiosis
4. Interstitial Lung disease

Correct answer: 2. Staphylococcal pneumonia

Explanation: Cavitation and pleural effusions are comon complications of Staphylococcal pneumonia D/D OF CAVITARY LESIONS IN LUNG C - carcinoma (metastasis, squamous cell Ca, lymphomas) A - autoimmune (Wegener's Granulamatosis, rheumatoid nodules) V - vascular (emboli) I - infection (staph pneumonia, lung abscess, fungal pneumonia, TB, Hydatid cyst) T - trauma Y - young (congenital) Ref: Rubin's Pathology: Clinicopathologic Foundations of Medicine By Raphael Rubin, David S. Strayer, Page 548.